An IT employee after taking up the job is feeling guilty, hopeless and not able to concentrate on work. His symptoms started 3 years back when he entered college. Likely diagnosis?
1. Depressive disorder
2. Dysthymia
3. Adjustment disorder
4. Cyclothymia

Correct answer: 2. Dysthymia

Explanation: ANS. BSymptoms of hopelessness, guilt and loss of concentration for more than 2 years is called dysthymia.